Not true about polycystic kidney disease is -
1. Autosomal dominant
2. Proteinuria <2gm/day
3. Leads to CRF
4. Decompression of cyst leads to normal renal function

Correct answer: 4. Decompression of cyst leads to normal renal function

Explanation: Decompression or uncapping of cysts (Rovsings operation) is of no use in preserving the renal function.

Polycystic kidney disease 

Is of 2 types:

Adult PKD
Inheritance is AD
Disease manifests itself in adult life.
Infantile PKD
 Inheritance is AR
Disease manifests in infancy as severe renal failure and life expectancy is short.

Adult PKD

Almost always bilateral (95%)
Disease ordinarily does not manifest itself before 40 yr of age.
Pts. of APKD have increased frequency of cysts in liver (30%), Pancreas, Spleen"; ovaries & berry aneurysm of cerebral arteries.

Pathology -

the kidney is enlarged 3 to 4 times.
It is studded all over with cysts.
Cysts are distributed evenly throughout the cortex & medulla.
Content of the cyst varies but its not urine.
Renal tissue is progressively replaced by cysts leading to CRF.

Clinical Presentation

Mass
Pain
Hypertension (70 to 80% of cases)
Henzaturia
Infection
Uremia
Urine examination
high output of urine,
low specific gravity.
It may contain traces of albumin
It ultimately leads to CRF and renal transplantation is the only definite t/t.